All of the following statements about cadherins are true, EXCEPT:
1. Adhesion is Ca++-dependent and homophilic
2. When mixed together, cells expressing different cadherins so out into homotypic cell aggregates
3. Cadherins associate with the actin cytoskeleton
4. Cadherins interact with components of the basement membrane

Correct answer: 4. Cadherins interact with components of the basement membrane

Explanation: This is an incorrect statement and hence the correct answer for this EXCEPT question. Cadherins are involved in cell-cell adhesive interactions and not cell-ECM interactions. Binding of epithelial cells to basement membrane components, such as occurs with hemidesmosomes, involves integrins.